The first porcelain tooth material was introduced by:
1. de Chemant
2. Ash
3. Plateau
4. McClean

Correct answer: 1. de Chemant

Explanation: The first porcelain tooth material was patented in 1789 by de Chemant, a French dentist in collaboration with Duchateau, a French pharmacist. This product, an improved version of the “mineral paste teeth” produced in 1774 by Duchateau, was introduced in England soon thereafter by de Chemant. However, this baked compound was not used to produce individual teeth, since there was no effective way at that time to attach the teeth to a denture base material.
Reference: PHILLIPS’ SCIENCE OF DENTAL MATERIALS, 12th ed page no 424